Snowstorm appearance on ultrasonography is seen in-
1. Hydatid cyst
2. Pyogenic liver abscess
3. Ectopic pregnancy
4. Molar pregnancy

Correct answer: 4. Molar pregnancy

Explanation: Ans. is 'd' i.e., Molar pregnancy * "Snow storm appearance" or "bunch of grapes appearance" is characteristic of H. mole.